The most potent synthetic opioid is
1. Remifentanil
2. Sufentanil
3. Alfentanil
4. Fentanyl

Correct answer: 2. Sufentanil

Explanation: Sufentanil has a high affinity for the mu receptor, higher than that of any other opioid.